Popliteal artery pulsations are difficult to feel because
1. It is not superficial
2. It does not cross prominent bone
3. It is not superficial and does not cross prominent bone
4. Its pulsation are weak

Correct answer: 3. It is not superficial and does not cross prominent bone

Explanation: Popliteal artery is difficult to feel.It is palpated better in prone position with knee flexed about 40-50 degree,to relax the popliteal fascia.It is felt in the lower part of the fossa over the flat posterior surface of upper end of tibia.In upper end of the fossa,artery is not felt as there is no bony area in intercondylar region. Refer page no173 of SRB's manual of surgery 5 th edition.